A codon consists of
1. Two complementary base pairs
2. Three consecutive nucleotide units
3. An individual ribosome
4. Four individual nucleotides

Correct answer: 2. Three consecutive nucleotide units

Explanation: A codon is a sequence of 3 nucleotides from 5' → 3' end corresponds to one amino acid.